The presence of the philadephia chromosome is associated with a worse prognosis in patients with which of the following diseases?
1. Acute lymphoblastic leukemia
2. Acute myelogenous leukemia
3. Chronic lymphocytic leukemia
4. Chronic myelogenous leukemia

Correct answer: 1. Acute lymphoblastic leukemia

Explanation: The presence of the philadelphia chromosome a translocation from the long arm of chromosome 22 to chromosome 9 (t,9,22) is associated with a more favourable prognosis in patients with chronic myelogenous leukemia but is associated with an unfavourable outcome in Acute lymphoblastic leukemia. (ref Robbins 8th/603)